A 25 Year old female is 5 months pregnant and presents to her obstetrician along with her first child. She has not received any prenatal care. She thinks she has gained adequate weight and her pregnancy has been uncomplicated till date. Her past medical history is notable for hypertension for which she is currently taking enalapril.● She is 168 cms (5' 6") tall, weight is 59 kg, B/P = 120/84 mm of hg and fundal ht is 17 cms. Fetal movements are appreciated and FHR = 140/min.● Results of dipstick are negative.Which of the following tests should be preformed:
1. CVS
2. Grp B strepto coccal testing
3. Triple test
4. USG of fetal kidneys

Correct answer: 4. USG of fetal kidneys

Explanation: ACE inhibitors are not recommended in pregnancy due to severe fetal malformations and neonatal renal failure, pulm onary hypolplasia and fetal death.So if a female has taken ACE inhibitors in pregnancy, all the above side effects should be ruled out and USG of fetal kidneys should be performed.